In Kesari dhal poisoning due to Lathyrus sativus, the active principle is:
1. Pyrrozolidine
2. BOAA
3. Argemone oil
4. Pilocarpine

Correct answer: 2. BOAA

Explanation: Ans. BOAA